One gm of Hb liberates how many mg of bilirubin?
1. 40
2. 34
3. 15
4. 55

Correct answer: 2. 34

Explanation: b. 34(Ref: Nelson's 20/e p 871-879, Ghai 8/e p 172-176)Bilirubin is the end product of catabolism of hemoglobin; Hemoglobin (1g) Heme Biliverdin Bilirubin (34mg)